Fusion of palpebral and bulbar conjunctiva is -
1. Symblepharon
2. Trichiasis
3. Ectropion
4. Tylosis

Correct answer: 1. Symblepharon

Explanation: Lids become adherent with the eyeball as a result of adhesion between bulbar and palpebral conjuctiva. A symblepharon is a partial or complete adhesion of the palpebral conjunctiva of the eyelid to the bulbar conjunctiva of the eyeball. It results either from disease (conjunctival sequelae of trachoma) or trauma. Ref :Ak khurana 6th edition pg no:376 REF IMG